SI unit of radiation absorbed dose is
1. Rem
2. Gray
3. Rad
4. C/kg

Correct answer: 2. Gray

Explanation: Absorbed dose - Gray (SI)
Exposure dose - C/kg (SI)
Dose equivalent - Sievert